Lepra cell is a:-
1. Plasma cell
2. Lymphocyte
3. Neutrophil
4. Histiocyte

Correct answer: 4. Histiocyte

Explanation: Virchow's cells or lepra cells or foamy cells are undifferentiated histiocyte with multiple lepra bacilli in it, arranged in bundle of cigarrete like manner. These cells are abundant in lepromatous leprosy. Lepra cell Histiocyte LE cell (SLE) Neutrophil Ta cell (SLE) Lymphocytes Gitter cells Microglia in CNS Flame cell (Trypanosomiasis) Plasma cell Foam cell (Leprosy, Xanthomas) Macrophages Peg cell (non-ciliated epithelial cell within the uterine tube) oviduct or Fallopian tube Clue cell Bacterial vaginosis Clear cell RCC Aschoff cell (Rheumatic heart disease) Neutrophil